Visual development : "Follows moving objects" is seen at what age ?
1. At birth
2. 6-8 weeks
3. 3 months
4. 5-6 months

Correct answer: 3. 3 months

Explanation: At birth: Fixation at light held 8-10 inches away, momentarily 6-8 weeks:Fixation of light and objects more steady 3 months:Follows moving object 5-6 months:Depth perception, colour vision and eye-body coordination